Cardiolipin is an important component of which of the following:
1. Mitochondria
2. Cell membrane
3. Ribosome
4. All of the above

Correct answer: 1. Mitochondria

Explanation: Phosphatidic acid is a precursor of phosphatidyl-glycerol which, in turn, gives rise to cardiolipin. This phospholipid is found only in mitochondria and is essential for mitochondrial function. Ref: Harper 28th edition, chapter 16.